The treatment for a child with cherubism is
1. surgical excision
2. cosmetic surgery after puberty
3. radiation
4. Enbloc dissection

Correct answer: 2. cosmetic surgery after puberty